Krukenberg spindles are found in
1. Pigment dispersion syndrome
2. Primary angle closure glaucoma
3. Hypermature morgagnian cataract
4. Anterior uveitis

Correct answer: 1. Pigment dispersion syndrome

Explanation: Pigment dispersion syndrome *Krukenberg spindle- Pattern formed on posterior surface of cornea by pigmented iris cells which are deposited as result of currents of the aqueous humor. Found In Pigment dispersion Trauma Pseudoexfoliation syndrome